Which of the following is a mitochondrial enzyme of Urea Cycle
1. Arginase
2. Carbamoyl Phosphate synthetase I
3. Arginosuccinate lyase
4. Arginosuccinate synthetase.

Correct answer: 2. Carbamoyl Phosphate synthetase I

Explanation: CPS - I is a mitochondrial enzyme and catalyses rate limiting step of Urea Cycle.
All the Cytoplasmic enzymes of urea cycle start with letter "A".